CD8 cell -
1. T-cells
2. B-cells
3. Null cells
4. Macrophages

Correct answer: 1. T-cells

Explanation: CD 8 cells are another name for cytotoxic T cells. Basic Pathology, Robbins. Page no.:101